What is ther new advance in cataract surgery?
1. Femtosecond Laser
2. Neodymium laser
3. Nanoseond laser
4. Picosecond Laser

Correct answer: 1. Femtosecond Laser

Explanation: Femtosecond laser-assisted cataract surgery provides suirgeons an exciting new option to potentially improve patient outcomes and safety. In this surgery a femtosecond laser is used for various steps like lens fragmentation and capsulotomy. (Ref: Femtosecond laser-assisted cataract surgery: Kendall E. Donaldson, Rosa Braga-Mele, Florence Cabot, for the ASCRS Refractive Cataract Surgery Subcommittee0